Which of the following is the treatment of choice for Stage – I Wilm's Tumor :
1. Laparoscopic Nepluoectomy
2. Open Nephroureterectomy
3. Chemotherapy
4. Observation

Correct answer: 2. Open Nephroureterectomy

Explanation: The treatment of choice for Stage I Film's tumor is Transperitoneal Radical Nephrectomy (Radical Nephroureterectomy) followed by chemotherapy with or without radiotherapy depending on tumor histology.

Treatment of Wilms tumor :

Treatment of wilm's tumor consists surgical resection followed by chemo and ratiotherapy.